Which statements are true about E. coli chromosomal DNA in relation with eukaryotic chromosomal DNA
1. Circular
2. Negatively supercoiled
3. Nucleoid present
4. All of these

Correct answer: 4. All of these

Explanation: E.coli (Bacteria) has single, closed, circular, ds DNA which is negatively supercoiled, present in nucleoid. There is no nucleolus in bacteria.